Differential cyanosis occurs in which disease
1. Severe caorctation
2. Inturrupted aortic arch
3. PPHN
4. All of the above

Correct answer: 4. All of the above

Explanation: Blood flow to lower extremities decrease in PPHN,coarctation of aorta, interrupted aortic arch. Ref : Ghai essential of pediatrics, eighth edition, p.no:432